Kaposi sarcoma associated with gut may be seen in -
1. Nonhodgkin's lymphoma
2. HIV - infection
3. Fungal infection
4. Keratoacanthosis

Correct answer: 2. HIV - infection

Explanation: It has been updated to CNS lymphoma